Total lung capacity depends on:
1. Size of airway
2. Closing tidal volume
3. Lung compliance
4. Residual volume

Correct answer: 3. Lung compliance

Explanation: Ans. C. Lung compliancea. TLC is the maximum volume to which the lungs can be expanded with the greatest possible inspiratory effort.b. TLC=IRV+TV+ERV+RV=IC+RVc. Compliance (stretch ability) of lungs: D is increased in Emphysema (obstructive lungs dis) and decreased in Interstitial pulmonary fibrosis (Restrictive lung disease). Compliance of lung is change in lung volume per unit change in airways pressure.d. TLC is increased in obstructive lung disease (eg. emphysema, COPD) and decreased in the restrictive lung disease (Interstitial pulmonary fibrosis).